Thermophilis sachari causes?
1. Bagassosis
2. Siderosis
3. Byssinosis
4. Anthracosis

Correct answer: 1. Bagassosis

Explanation: - bagassosis is the occupational disease of lung caused by inhalation of sugarcane dust. - it is caused due to a thermophilic actinomycete, Thermoactinomyces sacchari. Reference: Park's textbook of preventive and social medicine, 23rd edition, pg no:807